Which of the following is glycogen storage disorder due to deficiency of myophosphorylase enzyme:
1. McArdle's disease.
2. Alport syndrome.
3. Marfan syndrome.
4. Ehlers danlos syndrome.

Correct answer: 1. McArdle's disease.

Explanation: McArdle's disease is also known as glycogenosis type V, which is an inherited glycogen storage disorder due to deficiency of myophosphorylase deficiency.